DNA replication follows which of the following model(s)?
1. Conservative
2. Semiconservative
3. Dispersive
4. All of the above

Correct answer: 2. Semiconservative

Explanation: DNA replication follows Semi-conservative model Three models were proposed to explain the DNA replication. Semi-conservative model is experimentally proved. During DNA replication, the DNA double helix is separated. Each strand acts as a template for the synthesis of new, complementary strand. Each of the two DNA molecules produced contains : 1 parent strand 1 daughter strand. Half of the parent strand is conserved, hence the name semi-conserved.